Neuropathy is not seen in:
1. Tuberculosis
2. SLE
3. Diabetes Mellitus
4. Polyarteritis nodosa

Correct answer: 1. Tuberculosis

Explanation: Answer is A (Tuberculosis): Tuberculosis is not mentioned as a cause of peripheral neuropathy Diabetic Mellitus, SLE, PAN and sarcoidosis may all cause peripheral neuropathies. SLE can cause a distal symmetric sensory or sensorimotor neuropathy and rarely monouritis multiplex. -- Current Neurology Pt/.318 Sarcoidosis may cause a diffuse sensorimotor neuropathy - Current Neurology 1S`/318 PAN may be associated with mononeuropathy multiplex - Current Neurology 1x1/318